The genetic factors that can increase the susceptibility and modify the severity of pancreatic injury in acute pancreatitis are all, except:
1. Cationic trypsinogen mutations
2. Pancreatic secretory trypsin inhibitor
3. CFTR
4. ATP7a gene mutation

Correct answer: 4. ATP7a gene mutation

Explanation: There are some genetic factors that can increase the susceptibility and/or modify the severity of pancreatic injury in acute pancreatitis. They are, (1) Cationic trypsinogen mutations (2) Pancreatic secretory trypsin inhibitor (SPINK1) (3) CFTR, and (4) Monocyte chemotactic protein (MCP-1) Menkes syndrome is caused by mutations in the ATP7A gene. Reference: Harrisons Principles of Internal Medicine, 18th Edition, Page 2636